Lumbar spine normally has
1. Kyphosis
2. Lordosis
3. Scoliosis
4. Gibus

Correct answer: 2. Lordosis

Explanation: Lordosis is seen at cervical and lumbar spine.